Mucopolysacharide Hyaluronic acid is present in:
1. Aqueous Humor
2. Vitreous Humor
3. Lens
4. Cornea

Correct answer: 2. Vitreous Humor

Explanation: Ans. (b) Vitreous HumorRef: Harper 27/e, p. 553-554Location of Major Glycosaiminoglycans[?]GlycosaminoglycanMajor LocationHyaluronic acid* Synovial fluid* Vitreous humor* Cartilage* Loose connective tissueChondroitin Sulphate* Cartilage* Bone* CorneaKeratan sulphate (KS)* Cornea (KSI)* Loose connective tissue (KS II)Heparin* Mast cellsHeparan sulphate* Aortic wall* Skin fibroblasts